GABA is produced from:
1. Alanine
2. Glycine
3. Glutamate
4. Glutamine

Correct answer: 3. Glutamate

Explanation: Glutamate